A patient presents with acute renal failure and anuria. The USG is normal. Which of the following investigation will give best information regarding renal function –
1. Intravenous pyelogram
2. Retrograde pyelography
3. Antegrade pyelography
4. DTPA scan

Correct answer: 4. DTPA scan

Explanation: Functional renal study is done by DTPA/MAG-3.